Lower lateral cutaneous nerve of arm is a branch of -
1. Radial nerve
2. Axillary nerve
3. Median nerve
4. Musculocutaneous nerve

Correct answer: 1. Radial nerve

Explanation: Ans. is'a'i.e., Radial nerveUpper lateral cutaneous nerve of arm; Branch of axillary nerve.Lower lateral cutaneous nerve of arm + Branch ofradial nerve